force required to cause occlusion to trachea in hanging ?
1. 5kg
2. 15kg
3. 20kg
4. 2kg

Correct answer: 2. 15kg

Explanation: * The amount of force required to compress neck structures is estimated as--* jugular vein: 2 kg, * carotid artery: 5 kg, * trachea: 9 - 15 kg and * vertebral artery: 3o kg. This implies venous flow is decreased before arterial and airway occlusion * For fractures of thyroid cartilage lamina: 14.3 kg * and cricoid cartilage: 18.8 kg force is required. ref : narayana reddy 9th ed